Cesarean section is preferred in:
1. Toxoplasmosis
2. Herpes
3. CMV
4. Varicella zoster virus

Correct answer: 2. Herpes

Explanation: Herpes:Risk of fetal infection is high in primary genital HSV,at term due to high virus shedding compared to recurrent infection.CS delivery is indicated in an active primary genital HSV infection where the membranes are intact or recently ruptured VZV:VZIG should be given to exposed non immune patients as it reduces the morbidity.VZIG given to newborn within 5 days of delivery. D.C.DUTTA'S TEXTBOOK OF OBSTETRICS,Pg no:300,7th edition